The synovial bursa between an aponeurosis and a bone is called
1. Subtendinous
2. Submuscular
3. Subfascial
4. Subcutaneous

Correct answer: 3. Subfascial

Explanation: It is commonly occurring bursa between the fascia lata or superficial (transverse) prepatellar aponeurosis and the intermediate (oblique) prepatellar aponeurosis formed by the medial and lateral patellar retinacular layers (extensions of the vastus tendons) anterior to the patella A synovial bursa (plural bursae or bursas) is a small fluid-filled sac lined by synovial membrane with an inner capillary layer of viscous synovial fluid (similar in consistency to that of a raw egg white). It provides a cushion between bones and tendons and/or muscles around a joint. This helps to reduce friction between the bones and allows free movement. Bursae are found around most major joints of the body. Ref - medscape.com